Drug of choice for Clostridium difficile infection is
1. Vancomycin
2. Metronidazole
3. Ceftriaxone
4. Clindamycin

Correct answer: 1. Vancomycin

Explanation: Drugs used for Clostridium difficile infection are DOC is oral Vancomycin Alternatives are metronidazole and fidoxamicin Monoclonal antibody against Clostridium toxin is bezlotoxumab.